Lipid in the tissues is detected by
1. PAS
2. Myeloperoxidase
3. Oil Red O
4. Mucicarmine

Correct answer: 3. Oil Red O

Explanation: Oil Red O Ref, Bancroft histology 6/e p53